Asthma is which type of hypersensitivity?
1. Type -1 hypersensitivity
2. Type -2 hypersensitivity
3. Type -3 hypersensitivity
4. Type -4 hypersensitivity

Correct answer: 1. Type -1 hypersensitivity

Explanation: Ans. is 'a' i.e., Type -1 hypersensitivity HypersensitivityType I (IgE mediated)Type II (IgG IgM and complement mediated)o Eczemao Blood transfusion reactionso Hay fevero Erythroblastosis fetaliso Asthmao Autoimmune hemolytic anemia or thrombocytopenia or agmulocytosiso Atopyo Pemphigus vulgariso Urticariao Good pasture syndromeo Anaphylactic shocko Bullous pemphigoido Acute dermatitiso Pernicious anemiao Theobald smith phenomenono Acute rheumatic fevero Prausnitz Kusnter (PK) reactiono Diabetes mellituso Casonistesto Graves diseaseo Schultz-Dale phenomenono Myasthenia gravisType III (IgG IeM. complement and leucocyte mediated)Tvpe IV (Cell mediated)o Local-Arthus reactiono Tuberculin testo Systemic-serum sicknesso Lepromin testo Schick testo Sarcoidosiso Polyarteritis nodosa (PANo Tuberculosiso Rheumatoid arthritiso Contact dermatitiso SLEo Granulomatous inflammationo Acute viral hepatitiso Type I lepra reactiono Penicillamine toxicityo Patch testo Hyperacute graft rejectiono Temporal arteritiso Type 2 lepra reaction (ENL)o Jones mote reaction (cutaneous basophilic HSN)o Hypersensitivity pneumonitiso Graft rejectiono R.Ao Fairleys testo Infective endocarditiso Frie's testo Henoch schonlein purpura o Glomerulonephritis